Ramesh, 30 yrs old male, the diagnosed case of CO poisoning presented with syncope or coma with intermittent convulsions, rapid respirations, tachycardia with a weak pulse and pink or red discoloration of the skin. Estimated percentage of COHb is
1. 30 to 40 %
2. 40 to 50 %
3. 50 to 60 %
4. 60 to 70 %

Correct answer: 3. 50 to 60 %

Explanation: COHb%SYMPTOMS0 to 10 %No appreciable symptoms10 to 20 %Breathlessness on moderate exertion, mild headache20 to 30 %Throbbing headache, irritability, emotional instability, judgment, defective memory and rapid fatigue30 to 40 %Severe headache, nausea, vomiting, dizziness, dimness of vision confusion.Cherry-red color40 to 50 %Increasing confusion, sometimes hallucinations, severe ataxia, respirations and collapse with attempts at exertion. Symptoms of alcoholic intoxication50 to 60 %discoloration Syncope or coma with intermittent convulsions, rapid respirations, tachycardia with a weak pulse and pink or red discoloration of the skin60 to70 %Increasing depth of coma with incontinence of urine and feces70 to 80 %Profound coma with depressed or absent reflexes, thready pulse, a weak shallow and irregular respiration and death